True regarding elimination of neonatal tetanus in village:
1. Rate more than 1/1000 live births
2. Attended deliveries less than 50%
3. Attended deliveries more than 50%
4. Rate less than 0.1/1000 live births

Correct answer: 4. Rate less than 0.1/1000 live births

Explanation: Ans. D: Rate less than 0.1/1000 live births Neonatal tetanus elimination (Classification of districts) Neonatal tetanus high risk: - Rate more than 1/1000 live births or - Immunization coverage less than 70% or Attended deliveries less than 50% Neonatal tetanus control: - Rate less than 1/1000 live births or Immunization coverage more than 70% or Attended deliveries more than 50% Neonatal tetanus elimination: -- Rate less than 0.1/1000 live births or - Immunization coverage more than 70% or - Attended deliveries more than 75%